The muscle that is found in the walls of the heart is characterized by _______:
1. A peripherally placed nucleus
2. Multiple nuclei
3. Intercalated discs
4. Fibers with spindle-shaped cells

Correct answer: 3. Intercalated discs

Explanation: KEY CONCEPT:
Intercalated discs are only found in cardiac muscle. Multiple, peripherally positioned nuclei are found in the ﬁbers of skeletal muscle. Smooth muscle cells are spindle-shaped.